Dopamine is preferred over dobutamne in treatment of renal shock because:
1. Renal vasodilatory effect
2. Increased cardiac output
3. Peripheral vasoconstriction
4. Prolonged action

Correct answer: 1. Renal vasodilatory effect

Explanation: Ans. A: Renal vasodilatory effect Dobutamine: In patients with low output cardiac fialure, dobutamine increases the cardiac output without increasing the heart rate. Unlike dopamine, it does not cause renal vasodilatation. Dopamine/ DA It is a catecholamine neurotransmitter In the brain, this substituted phenethylamine functions as a neurotransmitter, activating the five types of dopamine receptors -- D,, D,, D.,, D4, and D. - and their variants. Dopamine is produced in several areas of the brain, including the substantia nigra and the ventral tegmental area. Dopamine is also a neurohormone released by the hypothalamus. Its main function as a hormone is to inhibit the release of prolactin from the anterior lobe of the pituitary. Dopamine cannot cross the blood-brain barrier, dopamine given as a drug does not directly affect the central nervous system. To increase the amount of dopamine in the brains of patients with diseases such as parkinson's disease and doparesponsive dystonia, 1-dopa (the precursor of dopamine) is often given because it crosses the blood-brain barrier relatively easily